Likely size of uterus at 8 weeks postpartum is:
1. 100 gm
2. 500 gm
3. 700 gm
4. 900 gm

Correct answer: 1. 100 gm

Explanation: Ans. is a, i.e. 100 gmRef. Dutta Obs. 7/e, p 145; Williams Obs. 24/e, p 669Weight of uterus:Immediately after delivery - 1000 gmAt the end of 1 week - 500 gmAt the end of 2 weeks - 300 gmAt the end of 4 weeks it weighs - 100 gm (Pre-pregnant state)At the end of 6 weeks it weighs - 60 gmAlso Know:Immediately following delivery, the fundus is just below the umbilicus (13.5 cm above the symphysis pubis/20 weeks gestational age size.). QInvolution of the uterusAfter 24 hours of delivery, height of uterus decreases by 1.25 cm/day. QUterus is a pelvic to organ. Q by the end of 2 weeks.Uterus returns almost to its normal size (pre-pregnant size) by the end of 8 weeks.The process by which the postpartum uterus returns to its pre-pregnant state is called as Involution.Involution is achieved by decrease in the size of muscle fibres Q (and not in the number). QPlacental site involution: Immedietly after delivery placental site is palm size. By the end of 2 weeks it is 3-4 cm in diameter.Note: Doppler U5G shows continuously increasing uterine artery vascular resistance during first five days postpartum.